Pulp of the index finger is supplied by
1. Median nerve
2. Radial nerve
3. Ulnar nerve
4. Axillary nerve

Correct answer: 1. Median nerve

Explanation: Ans. is 'a' i.e., Median nerve Sensory supply of HandOn Palmar side* Lateral 2/3 of the palm and lateral three and half fibers - Median nerve* Medial 1/3 of the palm and medial one and half fingers - Ulnar nerveOn Dorsal surface* Distal phalanx of lateral three and half ditits -Median nerve* Medial 1/3 of dorsum of hand and medial one and half fingers - Ulnar nerve* Lateral 2/3 of dorsum of hand -Radial nerve* Dorsum of lateral three and half fingers over proximal and middle phalanges - Radial nerve* Sensory distribution of upper limb is as followThe cutaneous nervesRegion suppliedNerve(s)Root valueDerived fromUpper part of pectoral region, and skin over upper part of deltoidSupraclavicularC3,C4Cervical plexusArm 1. Upper medial partIntercostobrachialT22nd intercostal2. Lower medial partMedial cutaneous nerve of armT1,T2Medial cord3. Upper lateral part (including skin over lower part of deltoid)Upper lateral cutaneous nerve of armC5, C6Axillary nerve4. Lower lateral partLower lateral cutaneous nerve of armC5, C6Radial nerve5. Posterior aspectPosterior cutaneous nerve of armC5Radial nerveForearm 1. Medial sideMedial cutaneous nerve of forearmC8,T1Medial cord2. Lateral sideLateral cutaneous nerve of forearmC5> C6Musculocutaneous3. Posterior sidePosterior cutaneous nerve of forearmC6, C7, C8Radial nervePalm 1. Lateral two-thirdsPalmar cutaneous branch of medianC6, C7Median2. Medial one-thirdPalmar cutaneous branch of ulnarC8UlnarDorsum of hand 1. Medial half including proximal phalanges of medial 2 1/2 digitsDorsal branch of ulnarC8Ulnar2. Lateral half including proximal phalanges of medial 2 1/2 digitsSuperficial terminal branch of radialC6, C7RadialDigits Palmar aspect, and dorsal aspect of middle and distal phalanges 1. Lateral 3V6 digitsPalmar digital branch of medianC7Median2. Medial 1 Vi digitsPalmar digital branch of ulnarC8Ulnar